Bohlers Angle is reduced in ?
1. Supracondylar fracture of humerus
2. Fracture neck of femur
3. Fracture Calcaneus
4. Colles fracture

Correct answer: 3. Fracture Calcaneus

Explanation: *The angle between two lines tangent to the calcaneus on the lateral radiograph. These lines are drawn tangent to the anterior and posterior aspects of the superior calcaneus. *The normal value for this angle is between 20deg to 40deg. A value less than 20deg can be seen in calcaneal fracture. Bohlers Angle is Decreased in Calcaneal Fracture